A mixture of rain and snow is called -
1. Glaze
2. Frost
3. Shower
4. Sleet

Correct answer: 4. Sleet

Explanation: Rain and snow mixed is precipitation composed of rain and partially melted snow. Unlike ice pellets, which are hard, and freezing rain, which is fluid until striking an object, this precipitation is soft and translucent, but it contains some traces of ice crystals, from partially fused snowflakes. Ref: Internet